Claustrophobia means
1. Fear of heights
2. Fear of lizards
3. Fear of closed spaces
4. Fear of open spaces

Correct answer: 3. Fear of closed spaces

Explanation: Claustrophobia refers to irrational fear of closed spaces.